During eruption of lower lateral incisors left primary
canine is prematurely exfoliated
1. Extraction of right primary canine to prevent midline shift
2. No treatment periodic observation only
3. Move the left permanent Lateral incisors towards midline
4. Move right permanent Lateral incisor towards midline

Correct answer: 1. Extraction of right primary canine to prevent midline shift